Pellagra is caused bv deficiencv of which vitamin -
1. B2
2. B3
3. B1
4. Folic acid

Correct answer: 2. B3

Explanation: Ans. is 'b' i.e., B3 The Vitamins VitaminDeficiency DiseaseLipid-soluble A Retinol, b-caroteneNight blindness, xerophtalmia; keratinization of skinD CalciferolRickets = poor mineralizetion of bone; osteomalacia = bone demineralizatinE Tocopherols, tocotrienolsExtremely rare--serious neurologic dysfunctionK Phylloqinone: menaquinonesImpaired blood clotting, hermorrhagic diseaseWater-solube B1 ThiaminPeripheral nerve damage (beriberi) or central nervous system lesions (Wemicke-Korsakoff syndrome)B2 RiboflavinLesions of comer of mouth, lips and tongue, seborrheic dermatitisNiacin Nicotinic acid nicotinamidePellagra--photosensitive dermatitis depressive psychosisB6 Pyridoxine, pyridoxal, pyridoxamineDisorder of amino acid metabolism, convulsionsFolic acidMegaloblastic anemiaBl2 CobalaminPernicious anemia = megaloblastic anemia with degeneration of the spinal cordPantothenic acidPeripharal nerve damage (nutritional melagia or "burning foot syndrome")H BiotinImpaired and carbohydrate metabolism dermatitisC Ascorbic acidScurvy--impaired wound healing, loss of dental cement, subcutaneous hemorrhage